Ciprofloxacin should not be used with theophylline because-
1. it decreases efficiency of theophylline
2. it increases toxicity of theophylline
3. it decreases efficiency of ciprofloxacin
4. it decreases absorption of theophylline

Correct answer: 2. it increases toxicity of theophylline

Explanation: Ans. is 'b' i.e., It increases the toxicity of theophylline Important interactions of FOs o Plasma concentration of theophylline, caffine and warfarin are increased by ciprofloxacin, norfloxacin and pefloxacin. o NSAIDSs enhance CNS toxicity of FQS. o Antacids, sucralfate and iron salts reduce absorption of FQs.